Patient with jaundice and white stools. Which of the following enzymes is not raised -
1. 5' nucleotidase
2. Alkaline phosphatase
3. Glutamate reductase
4. Gamma glutamyl transpeptidase

Correct answer: 3. Glutamate reductase